On increasing, vagal tone following occurs in pacemaker
1. Increased Na+, increased slop
2. Decreased Na+, decreased slop
3. Increased Na+, decreased slop
4. Decreased Na+, increased slop

Correct answer: 2. Decreased Na+, decreased slop

Explanation: Na+ influx causes the pacemaker potential (prepotential). Due to vagal stimulation, the Na+ influx decreases, this leads to a decrease in the slop of prepotential.